Rate Limiting step of Pathway (Figure) is catalyzed by
1. Glucose-6-phosphatase dehydrogenase
2. Gluconolactone hydrolase
3. 6-phospho-gluconate dehydrogenase
4. Transketolase

Correct answer: 1. Glucose-6-phosphatase dehydrogenase

Explanation: Glucose-6-phosphatase dehydrogenase (Pathway shown: Pentose Phosphate pathway/ Hexose monophosphate shunt pathway)